Milk borne diseases are-
1. Salmonellosis
2. E. coli
3. Streptococcus
4. All

Correct answer: 4. All

Explanation: Ans. is All